All of the following are associated with thyroid storm, except
1. Surgery for thyroiditis
2. Surgery for thyrotoxicosis
3. Stressful illness in thyrotoxicosis
4. I-131 therapy for thyrotoxicosis

Correct answer: 1. Surgery for thyroiditis